Voissius ring is seen in the
1. Cornea
2. Anterior capsule of the lens
3. Posterior capsule of the lens
4. Iris

Correct answer: 2. Anterior capsule of the lens

Explanation: Vossius ring:  It is a circular ring of brown pigment seen on the anterior capsule.
It occurs due to striking of the contracted pupillary margin against the crystalline lens.
It is always smaller than the size of the pupil.